Dose of acyclovir in a patient suffering from herpes genitalis is :
1. 200 mg, three times a day for 5 days
2. 200 mg, five times a day for 5-7 days
3. 600 mg, five times a day for 5 days
4. 800 mg, five times a day for 7 days

Correct answer: 2. 200 mg, five times a day for 5-7 days

Explanation: Herpes labialis by HSV-I - T/t acyclovir 200mg 5 T/D 5-7 days or Herpes genitalis by HSV-II Acyclovir 200 mg, five times a day for 5-7 days OR Acyclovir 400mg TDS 5-7 days Herpes zoster- DOC acyclovir 800mg 5 T/D * 7days Chicken pox(varicella zoster)- DOC-Acyclovir 800mg 4T/D 7 days If patient immunocompromised- IV. Acyclovir Incase of acyclovir resistance- foscainet Recurrent (i.e. >6 episodes 1yr) h.labialis -prophylactic Therapy Acyclovir 400mg BD 6 Months